Preferred treatment of cubitus varus is -
1. Medial closing wedge osteotomy
2. Lateral closing wedge osteotomy
3. Medial opening wedge osteotomy
4. Lateral opening wedge osteotomy

Correct answer: 2. Lateral closing wedge osteotomy

Explanation: Answer- B. Lateral closing wedge osteotomyCubitus varus- lateral closing wedge osteotomy, medial opening wedge osteotomy.